Trendlenberg's operation is indicated in the treatment of:
1. Deep vein thrombosis
2. Buerger's disease
3. Varicose veins
4. Obturator hernia

Correct answer: 3. Varicose veins

Explanation: Trendlenberg's operation was introduced in by Friedrich Trendelenburg in the late 1800s. In this method, the saphenous vein was ligated through a midthigh incision. This procedure was modified by Perthes who advocated a groin incision and a sapheno femoral ligature. Treatment modalities of varicose veins: Initially compression stockings are used. Injection sclerotherapy is used in varicose veins less than 3mm diameter and in telangiectatic vessels. Commonly used sclerosing agents are hypertonic saline, sodium tetradecyl sulfate, and polidocanol. Patients with symptomatic great or small saphenous vein reflux may be treated with endovenous ablation techniques or surgical removal. Saphenous vein ligation and stripping is the preferred therapy for patients with GSVs of very large diameter (>2 cm). Ref: Manual of Vascular Surgery By A. K. Khanna, Page 286